Hepcidin is secreted by which of the following?
1. Kidney
2. Bone marrow
3. Duodenum
4. Liver

Correct answer: 4. Liver

Explanation: Hepcidin A small circulating peptide that is synthesized and released from the liver in response to increases in intrahepatic iron levels Plays a central role in iron metabolism Regulates iron absorption in duodenum